3rd extensor compartment of wrist contains tendon of
1. Extensor carpi radialis longus
2. Extensor carpi radialis brevis
3. Extensor pollicis longus
4. Extensor pollicis brevis

Correct answer: 3. Extensor pollicis longus

Explanation: -The extensor retinaculum is a thickened band of deep fascia on the back of wrist. the anterior or deep aspect of this retinaculum is divided into 6osseofibrous compartments by 5 septa arising from back of radius and ulna. These tunnels provide passage to the extensor tendons.they are numbered 1 to 6 lateral to medially. the third compartment provides passage to EPL tendon.Reference: clinical anatomy for students a problem-solving approach, Neeta v Kulkarni, page no.84